A 47-year-old female patient's right breast exhibited peau d'orange characteristics. This condition is primarily a result of which of the following occurrences?
1. Blockage of cutaneous lymphatic vessels
2. Shortening of the suspensory ligaments by cancer in the axillary tail of the breast
3. Contraction of the retinacula cutis of the are ola and nipple
4. Invasion of the pectoralis major by metastatic cancer

Correct answer: 1. Blockage of cutaneous lymphatic vessels

Explanation: Blockage of cutaneous lymphatic vessels results in edema of the skin surrounding the hair follicles, leading to an appearance like an orange peel (peau d'orange). Shortening of the suspensory ligaments leads to dimpling of the overlying skin, not peau d'orange. Contraction of retinacula cutis results in retraction and inversion of the nipple and/or areola. Pectoralis major involvement has nothing to do with this condition but can result in fixing the tumor firmly to the chest wall.